Normal voice heard from 1 meter, intensity of sound reaching ear is
1. 20 dB
2. 40 dB
3. 60 dB
4. 80 dB

Correct answer: 3. 60 dB

Explanation: Ans. is 'c' i.e. 60dB Intensity is the strength of sound which determines its loudness. It is usually measured in deeibeis (dB). o Following are intensities when a person is at a distance of one meter from sound source. Whisper 30dB Normal conversation 60dB Shout 90 dB Discomfort of ear 120dB Fain in ear 130 dB